Drug useful in malignant hyperthermia is:
1. Halothane
2. Succinyl choline
3. Dantrolene
4. Haloperidol

Correct answer: 3. Dantrolene